In a population, total births in a year are 3050. There are 50 still births, 100 neonates die in first  7 days and 150 die in next 8-28th day life. Calculate Neonatal Mortality Rate.
1. 250
2. 100
3. 83
4. 90

Correct answer: 3. 83